A factory worker presents with excessive salivation, blue line on gums, tremors, disturbed personality, insomnia and loss of appetite. Diagnosis
1. Arsenic poisoning
2. Lead poisoning
3. Mercury poisoning
4. Phosphorus poisoning

Correct answer: 3. Mercury poisoning

Explanation: (Refer: Rajesh Bardale - Principles of Forensic medicine & Toxicology, 1st edition, pg no: 458)
Mercury poisoning:

Chronic Poisoning:  Otherwise called as ‘Hydrargyrism’.
MC poisonous salt of mercury is Chloride
Classic Triad:Gingivitis, Salivation and Tremors.
Signs & Symptoms:


Blue lines on gums
Tremors (Danbury tremors) which starts in hands and then progresses to other parts of the body. When generalized, it is called as ‘Hatter’s Shake’, glassblowers shakes
Most severe form called as ‘Concussio mercurialis’ where no activity is possible.
‘Mercurial Erethism’ which occurs in worker of mirror industry where there is development of psychological symptoms
‘Mercuria lentis’ is a peculiar eye change where brownish deposit of mercury seen on anterior lens capsule and this is due to exposure to mercury vapor. It has no effects on visual acuity
Acrodynia ( Pink disease)
Idiosyncratic hypersensitivity reaction, seen in children
Generalized erythematous, eczematous papular type of lesions mostly in hands & feet, accompanied by thickening & peeling of the skin.


Dimercaprol (BAL) is used in treatment of mercury poisoning.